Bilateral proptusis in children is the most common presentation of:
1. Neurofibromatosis
2. Leukemia
3. Cavernous hemangioma
4. Malignant fibrous Histiocytoma

Correct answer: 2. Leukemia

Explanation: Ans. b. Leukemia (Ref: 'The Massachussets Eye and ear Infirmary review manual for Ophthalmology' by juger Lamkin (Lippincott Williams) 3/e p159, 186; Harley's Pediatric Ophthalmology (Lippincott Williams and Wilkins) 2005/371)Leukemic infiltration into the orbit (chloroma) is the most common cause of bilateral proptosis in children amongst the option provided.'The most common cause of bilateral proptosis in children is not definitively established, but metastatic neuroblastoma and/or leukemia (chloroma) should be considered.'- 'The Massachussets Eye and ear infirmary review manual for Ophthalmology' 3/e p159, 186Causes of Bilateral ProptosisLymphomasQLeukemiaQSecondaries from:NeuroblastomaQNephroblastomaQEwing's sarcomaQMC cause of unilateral proptosis in childrenOrbital cellulitisQMC cause of (non-inflammatory) unilateral proptosis in childrenDermoid cystQMC cause of bilateral proptosis in childrenNot definitively establishedMetastatic neuroblastomaQ and/or leukemiaQ (chloroma)MC cause of unilateral proptosis in adultsThyroid ophthalmopathyQMC cause of bilateral proptosis in adultsThyroid ophthalmopathyQBailey and Johnson Head and Neck Surgery 4/1513MC benign orbital tumor in adultsCavernous HemangiomaQMC malignant orbital tumor in adultsLymphomaQMC benign orbital tumor in childrenDermoid cystQMC malignant orbital tumor in childrenRhabdomyosarcomaQ